Arch of aorta lies at what vertebral level
1. T5
2. T4
3. T6
4. T2

Correct answer: 2. T4

Explanation: Arch of aorta starts and ends at same level that is lower border of fourth thoracic vertebrae. BD CHAURASIA'S HUMAN ANATOMY.VOLUME 1. 6TH EDITION.Page no-275